Most common Salivary glands tumor in dults is
1. Pleomorphic adenoma
2. Lymphoma
3. Mucoepidermoid carcinoma
4. None of the above

Correct answer: 1. Pleomorphic adenoma

Explanation: Refer Robbins page no 261 8th edition